Chylous acities is caused by all of the following except-
1. Colloid carcinoma of stomach
2. Tuberculosis
3. Trauma
4. Nephrotic syndrome

Correct answer: 1. Colloid carcinoma of stomach